A case of giardiasis presents w ith -
1. Nausea and vomiting
2. Abdominal pain
3. Steatorrhea and flatulence
4. All of the above

Correct answer: 4. All of the above

Explanation: Ans. is 'd' i.e., .All of the above Giardiasiso Disease manifestations of giardiasis range from asymptomatic carriage to fulminant diarrhea and malabsorption,o Most infected persons are asymptomatico The mechanisms by which Giardia causes alteration in small bowrel function are largely unknown. Although trophozoites adhere to the epithelium, they do not cause invasive or locally destructive alterations,o In most cases the morphology of the bowrel is unaltered but in few cases; in chronically infected symptomatic patients; the histopathologic finding (flattened villi) and the clinical manifestations resemble those of tropical sprue and gluten sensitive enteropathy,o Incubation period - 1 to 3 weekso Clinical manifestations* Diarrhea# Nausea* Abdominal pain# Vomiting* Bloating# Flatus*Extraintestinal - urticaria, anterior uveitis, arthritis.o Fever; the presence of blood or mucus in the stools suggest a different diagnosis as all these are absent in giardiasis,